A 25-year-old man presents to the outpatient department with the complaint that he has been depressed ever since he can remember. In addition, he also has disturbance in sleep and appetite. However, he has been working, though not to the level of satisfaction of him or his supervisors. The patient also has general dissatisfaction with life. The most likely diagnosis is:
1. Major depression
2. Psychotic depression
3. Dysthymia
4. Chronic fatigue syndrome

Correct answer: 3. Dysthymia

Explanation: Ans. C. DysthymiaDysthymia: it's presence of mild depressive symptoms (not enough to diagnose a MDD) for a period of at least 2 years - socio-occupational dysfunction is not markedIn DSM-5: persistent depressive disorder (clubbed chronic depression + dysthymia)